Which of the following is NOT a component of primary health care -
1. Adequate nutrition
2. Adequate housing
3. Safe water supply
4. Provision of essential drugs

Correct answer: 2. Adequate housing

Explanation: Ans. is `b' i.e., Adequate housing